Increased Aldosterone leads to all of the following, except:
1. Hypokalemia
2. Hypertension
3. Hypernatremia
4. Metabolic acidosis

Correct answer: 4. Metabolic acidosis

Explanation: Increased Aldosterone is associated with metabolic alkalosis and not metabolic acidosis. Other findings associated with it includes hypokalemia (potassium excretion), hypernatremia (sodium conservation) and hypertension (characteristically diastolic). Ref: Endocrine Physiology, 3rd Edition, Chapter 6; CURRENT Diagnosis and Treatment in Family Medicine, 3rd Edition, Chapter 36